The commonly used stain in the study of fungal infections are
1. a) Gomori methanamine silver
2. b) PAS
3. c) H & E
4. All the above

Correct answer: 4. All the above